After a leisure trip, a patient comes with gritty pain in eye and joint pain. What is the most probable diagnosis?
1. Reiter's syndrome
2. Behcet's syndrome
3. Sarcoidosis
4. SLE

Correct answer: 1. Reiter's syndrome

Explanation: Joint pain is a feature of Reiter's syndrome. It's a triad of urethritis, arthritis and conjunctivitis. It is causes by Chlamydia(m/c), Salmonella, Yersinia, Campylobacter, Ureaplasma, Shigella OTHER OPTIONS: Behcet syndrome: inlude mouth and genital soresa, inflamed eyes and rashes. Sarcoidosis: symptoms vary depending on the organs affected SLE : can affects skin, kidney, joints, brain and other organs.